Which of the following is/are sign of fracture ?
1. Abnormal mobility
2. Crepitus
3. Failure to transmit movement proximally
4. All of above

Correct answer: 4. All of above

Explanation: Sure signs of fracture :- 1 Abnormal mobility(best) 2 Failure to transmit movements proximally 3 Crepitus 4 Tenderness(Commonest sign)